Intraoperative wheezing can be managed by
1. Thiopentane
2. Ketamine
3. Methohexitone
4. Propofol

Correct answer: 2. Ketamine

Explanation: Among IV induction agents,ketamine has a bronchodilator action.